Cadmium can cause all cancer except-
1. Lung
2. Pancreas
3. Prostate
4. Skin

Correct answer: 4. Skin

Explanation: Cadmium can cause lung cancer and possibly has also been related to prostate cancer.
Cadmium has also been linked to cancer of breast, kidney, pancreas and urinary bladder.
Lung cancer is caused by inhaled cadmium while other are due to ingestion.